BCG vaccination is given by which route ?
1. Subcutaneous
2. Intradermal
3. Intramuscular
4. Subdermal

Correct answer: 2. Intradermal

Explanation: Ans. is 'b' i.e., Intradermal The routes of important vaccines are :-Subcutaneous : Measles, rubella, killed influenza, killed cholera, IPV, yellow fever.Intramuscular : Mumps, killed influenza, typhoid Vi-polysaccharide, DPT (deep intramuscular), rabies, IPV.Intradermal : BCG, rabies.Nasal : Live influenza.Ora/ : OPV, oral cholera, oral typhoid (typhoral).